Distal phalangeal tuft resorption is seen in
1. Hypoparathyroidism
2. Psoriaticarthropathy
3. SLE
4. Hyperthyroidism

Correct answer: 2. Psoriaticarthropathy

Explanation: Ans. is 'b' i.e., Psoriatic arthropathy Acro-osteoivsiso Acro-osteolysis is the term used to describe resorption of the distal phalangeal tufts. Causes are : -i) Sclerodermav) Trauma & thermal injuryii) Hyperparathyroidismvi) Epidermalysis bullosaiii) Arthropathy (RA, Psoriasis)vii) Neuropathy (diabetes, syringomyelia)iv) Raynaud's